Coracobrachialis is pierced by which nerve
1. Axillary
2. Median
3. Musculocutaneous
4. Ulnar

Correct answer: 3. Musculocutaneous

Explanation: Coracobrachialis is pierced by the musculocutaneous nerve (C5 - C7). It flexes the arm at the shoulder joint. REF: BD Chaurasia 7th edition Page no: 91.